Following are principles in the treatment of compound fractures except -a) Wound debridementb) Immediate wound closurec) Tendon repaird) Aggressive antibiotic therapy
1. a
2. bc
3. ac
4. ad

Correct answer: 2. bc

Explanation: The four essential principles for compound fracture treatment are : -


Antibiotic prophylaxis
Urgent wound and fracture debridement.
Stabilization of the fracture by internal or external fixation.
Early definitive wound cover. 


About option 'b & c'

Wound closure can be done immediately if the wound is clean and contamination free after debridement. However, it is not a principle of open fracture management.
As a general rule it is best to leave cut nerves and tendons alone, though if the wound is absolutely clean and no dissection is require, and provided the necessary expertise is available, they can be sutured.